Incision for drainage of parotid abscess is fashioned to avoid damage to which of the following structures?
1. Facial nerve
2. Parotid duct
3. Retromandibular vein
4. Carotid artery

Correct answer: 1. Facial nerve

Explanation: Ans. is 'a' i.e., Facial nerve * Surgical drainage under local or general anaesthesia is carried out by a pre - auricular incision as employed for parotidectomy. Skin flap is raised to expose surface of the gland, and the abscess or abscesses are bluntly opened working parallel to the branches of the VII nerve.* Contents of parotid space include parotid gland and its associated parotid lymph nodes, facial nerve, external carotid artery and retromandibular vein, however, facial nerve is the most superficial among these. Therefore, prevention of injury to the facial nerve is of utmost importance.